Rhinophyma is a slow growing tumour with the following pathology:
1. Hypertrophy of the sebaceous glands
2. Hypertrophy of sweat glands
3. Hyperplasia of endothelial cells
4. Hyperplasia of epithelial cells

Correct answer: 1. Hypertrophy of the sebaceous glands

Explanation: Rhinophyma or potato tumour is a slow growing benign tumour due to hypertrophy of the sebaceous glands of the tip of nose.